Feature of severe diarrhea
1. Metabolic acidosis
2. Metabolic alkalosis
3. High anion gap
4. Increased anion gap

Correct answer: 1. Metabolic acidosis

Explanation: Diarrhea can cause Non anion gap acidosis. Ref: Harrison's 19thE